The Intestinal villi are swollen and distended. There is an accumulation of large granular Macrophages, containing material which stains. Strongly with periodic acid Schiff, in the Lamina propria. The most probable condition is -
1. Secondary steatorrhoea
2. Sprue
3. Coeliac disease
4. Whipple's disease

Correct answer: 4. Whipple's disease